Billing's method for contraception refers to ________
1. Monitoring BBT
2. Cervical mucus method
3. Rhythm method
4. Coitus interruptus method

Correct answer: 2. Cervical mucus method

Explanation: Billing's method for contraceptionn refers to cervical mucus method. Mucus method (billings or ovulation method): The properties of the cervical mucus change under the influence of the ovarian hormones on different days of the menstrual cycle. The woman attempts to predict the fertile period by feeling the cervical mucus Under oestrogen influence, the mucus increases in quantity and become progressively more slippery and elastic untill a peak is reached. Thereafter, the mucus becomes thicker, scanty and dry under the influence of progesterone until the onset of menses. Intercourse is considered safe during the 'dry days' immediately after the menses until mucus is detected. Thereafter, the couple must abstain until the fourth day after the 'peak day'. Mucus secretion during a menstrual cycle: Ref: Shaw's textbook of Gynaecology 17th edition Pgno: 253